Type - 2 Respiratory Failure is seen in
1. Pneumonia
2. Atelectasis
3. COPD
4. Pulmonary Embolism

Correct answer: 3. COPD

Explanation: Type - 2 Respiratory Failure is hypoxia + hypercapnia.
p(A - a) O2 is normal or decreased seen in conditions of decreased respiratory drive(Brainstern injury),airway disease(EOPD,ASTHMA),paralusis of Diaphragm,Kyphoscoliosis,Myasthenic erisis.